The most rapidly bactericidal drug for M-Leprae is?
1. Dapsone
2. Clofazimine
3. Ethionamide
4. Rifampicin

Correct answer: 4. Rifampicin

Explanation: Ans. is 'd' i.e., Rifampicin o Rifampicin is the only drug that is highly bactericidal against M. leprae.